A 47-year-old woman is seen in the emergency department for accelerated hypertension (blood pressure 210/105 mm Hg). She notes frequent headaches for the past month but no chest pain, shortness of breath, vision changes, or limb weakness. Her past medical history is negative except for hypertension during her first pregnancy. Family history is also positive for both parents and a brother who have hypertension.On physical examination, the blood pressure is 210/105 mm Hg in both arms, the heart rate is 88/min, and the patient is alert and oriented. The heart sounds reveal a S4, the lungs are clear and there are no focal neurological deficits. Which of the following findings are most likely on examination of the fundii? (See Figure below)
1. retinitis obliterans
2. cotton wool spots
3. retinal detachment
4. optic atrophy

Correct answer: 2. cotton wool spots

Explanation: Cotton-wool spots (nerve fiber layer infarcts), flame hemorrhage, and papilledema can occur in patients with accelerated hypertension. Fibrinoid necrosis occurs on the arterioles of many organs. Earlier manifestations of arteriosclerosis include thickening of the retinal vessel wall. This is manifested by obscuring of the venous column at arterial crossings. The other choices are not seen in hypertensive retinopathy.